True about Barret's esophagus:
1. Long esophageal segment involved
2. Metaplasia
3. Peptic ulcer
4. All

Correct answer: 4. All

Explanation: Ans. is 'a', 'b', 'c' i.e. Long esophageal segment involved, Metaplasia, Peptic ulcerBarrett's esophagus can be classified into long segment disease (involvement of more than 3 cm of esophagus) and short segment disease ( < 3 cm involvement).Long segment disease carries more risk for adenocarcinoma